Contraceptive pill with least failure rate :
1. Sequential pill
2. Mini pill
3. Combined pill
4. None

Correct answer: 3. Combined pill

Explanation: Combined pill